Test to differentiate between psychological and organic erectile dysfunction:
1. Pharmacologically induced penile erection therapy
2. Nocturnal penile tumescence
3. Sildenafil induced erection
4. Squeeze technique

Correct answer: 2. Nocturnal penile tumescence

Explanation: Ans. Nocturnal penile tumescence